Treatment of chalazion - a) Incision & drainageb) Curettagec) Intralesion steroidd) Pressure bandagee) Antibiotics
1. abcd
2. abce
3. bcde
4. acde

Correct answer: 2. abce

Explanation: Treatment of chalazion 

Treatment of chalazion includes :-


Conservative :- For small, soft and recent chalazion hot fomentation, topical antibiotics eye drops and oral antiinflammatory drugs can be tried.
Intralesional injection of steroid.
Drainage by transconjunctival incision and curettage.
Diathermy for marginal chalazion.
Systemic tetracycline is required in recurrent chalazion especially if associated with acne rosacea or seborrheic dermatitis.